Which of the following viruses are not implicated in human malignancies:
1. Epstein-Barr virus
2. Herpes simplex virus type I
3. HTLV 1
4. Papilloma virus

Correct answer: 2. Herpes simplex virus type I